Medulla oblongata arises from
1. Prosencephalon
2. Rhombencephalon
3. Mesencephalon
4. None

Correct answer: 2. Rhombencephalon

Explanation: Rhombencephalon- pons, cerebellum, medulla 4th ventricleMesencephalon- midbrain, cerebral aqueductProsencephalon - cerebral hemispheres, Diencephalon, lateral and 3rd ventricle.(Ref: Vishram Singh textbook of clinical neuroanatomy second edition pg 4)